All are true about treatment of leprosy except -
1. 2 years treatment for multibacterial leprosy
2. 6 months treatment for paucibacillary leprosy
3. Rifampicin is given supervised
4. 2 years surveillance post-treatment for paucibacillary leprosy

Correct answer: 1. 2 years treatment for multibacterial leprosy

Explanation: Duration of treatment of Multibacillary leprosy is 12 months , within 18 months. Reference:Park's textbook of preventive and social medicine,K.Park,23rd edition,page no:324.